In which of the following conditions oxygen delivery is least to muscles?
1. Person inhaling 100 percent oxygen at the top of mout everest
2. Marathon runner at sea level
3. Person with carbon monoxide poisoning
4. None of the above (this option none of the above was also there)

Correct answer: 3. Person with carbon monoxide poisoning

Explanation: In person suffering from carbon monoxide poisoning , perfusion to the muscle is least Ref: guyton and hall textbook of medical physiology 12 edition page number:353,354,355